Protein that initiates synthesis of RNA primers
1. SSBs
2. DNA Ligase
3. DNA Primase
4. Topoisomerases

Correct answer: 3. DNA Primase

Explanation: Classes of Proteins Involved in Replication Protein Function DNA polymerases Deoxynucleotide polymerization Helicases ATP -driven processive unwinding of DNA Topoisomerases Relieve torsional strain that results from helicase-induced unwinding DNA primase Initiates synthesis of RNA primers Single-strand binding proteins (SSBs) Prevent premature reannealing of dsDNA DNA ligase Seals the single strand nick between the nascent chain and Okazaki fragments on lagging strand Harper30e pg: 378